D20 (Deuterium oxide) is used to measure volume of
1. Blood
2. Total body water
3. Extracellular fluid
4. Intracellular fluid

Correct answer: 2. Total body water

Explanation: B i.e. Total body water